Eye of a newborn is ?
1. Emmetropic
2. Hypermetropic
3. Myopic
4. Astigmatism

Correct answer: 2. Hypermetropic

Explanation: Ans. is 'b' i.e., Hypermetropic Eye at birth Anteroposterior diameter of eye ball is about 16.5 mm (70% of adult size). Adult size is attained by 7-8 years. Corneal diameter is about 10 mm. Adult size (11.7 mm) is attained by 2 years of age. Anterior chamber is shallow and angle is narrow. Lens is spherical at birth. Retina : - Apart from macular area, the retina is fully differentiated. Macula differentiates 4-6 months after birth. Myelination of optic nerve fibres has reached the lamina cribrosa. New born is usually hypermetropic by +2 to +3D. Orbit is more divergent (50deg) as compared to adult (450). Lacrimal gland is still underdeveloped and tears are not secreted.